The process of increasing the ability for phagocytosis of foreign bodies called as:
1. Cross reactivity
2. Opsonization
3. Immune tolerance
4. Immune surveillance

Correct answer: 2. Opsonization

Explanation: The process of increasing the ability for phagocytosis of foreign bodies is called opsonization or enhanced phagocytosis. Molecules that promote recruitment of bacteria are called Opsonins. For examples are C3b (mainly), Fc portion of IgG, IgM. Immune tolerance, orimmunological tolerance, or immunotolerance, is a state of unresponsiveness of theimmunesystem to substances or tissue that have the capacity to elicit animmuneresponse in a given organism. Immunological surveillanceis a monitoring process of theimmunesystem to detect and destroy virally infected and neoplastically transformed cells in the body